Breath sounds are decreased in all the following except
1. Lobar pneumonia
2. Pneumothorax
3. Pleural effusion
4. Atelectasis

Correct answer: 1. Lobar pneumonia

Explanation: In pleural effusion, pneumothorax and in atelectasis the breath sounds become absent or reduced. While in lobar pneumonia breath sounds increases. Reference : Davidson, 23rd Edition, page no : 547.